Which of the following statements about fluconazole is most accurate ?
1. It is highly effective in the treatment of aspergillosis
2. It does not penetrate the blood-brain barrier
3. Its oral bioavailability is less than that of ketoconazole
4. It inhibits demethylation of lanosterol

Correct answer: 4. It inhibits demethylation of lanosterol